Rashtriya Swasthya Bi ma Vojna is:
1. Government run insurance scheme for its employees
2. Government run insurance scheme for all citizens
3. Government run insurance scheme for all poor
4. Private insurance company run scheme thrall poor

Correct answer: 3. Government run insurance scheme for all poor

Explanation: Ans is 'c' i.e. Government run insurance scheme for all poor Rashtriya Swasthya Bima Ynj ana (RSBY) is a Government sponsored scheme for the BPL population of India. 75% by Central Government o 25% by State Governments (Government ofindia's contribution is 90 percent in case of North-eastern states and Jammu and Kashmir.) o RSBY scheme is under the Ministry of Lahour and Employment o The objective of RSBY is to provide protection to BPL households from financial liabilities arising out of health shocks that involve hospitalization. o RSBY provides for cashless insurance of Rs. 30,000 per family per year for hospitalisation in public as well private hospitals. a Coverage extends to five members of the family which includes the head ofhousehold, spouse and up to three dependents. o Pre-existing conditions are covered from day one and there is no age limit. o Beneficiaries need to pay only Rs. 30 as the registration fee.